Reagent used to detect the microrganism in milk before pasteurization -
1. Crystal violet
2. Methylene blue
3. Phosphatase
4. Nitric acid

Correct answer: 2. Methylene blue

Explanation: Ans. is 'b' i.e., Methylene blue 'Methylene blue Reduction test' is an indirect test for detection of microorganism in milk. It is carried out on milk prior to the process of pasterurization and is not used to check the efficiency of pasteruization.* Test to check the adequecy (efficiency) of pasteurization are: Posphatase test (m.c. used), standard plate count, and coliform count.